Which of the following occurs along with glucose transport into a cell:
1. Sodium symport
2. Sodium anteport
3. Potassium transport
4. Amino acid transport

Correct answer: 1. Sodium symport

Explanation: A i.e. Sodium symportGlucose and Na+ share the same Co-transporter (or symport) - the sodium dependent glucose transporter: (SGLT - sodium glucose co- transporter)Q.Sodium dependent glucose transporter (symport)- Since the intracellular Nat concentration is low in intestinal & renal cells, Nat moves into the cells along its concentration gradient.- Glucose moves with the Na+ & released into the cell.- The Na+ is then transported to lateral intercellular spaces & the glucose is transported by GLUT-2 into the interstitium & then into capillaries.- This is an example of secondary active transport i.e. the energy for glucose transport is provided by the active transport of Na+ out of cells.Also know: Glucose mechanism also transport glactoseQ. Fructose utilizes different mechanism, it is transported by facilitated diffusionQ.Glucose is incorporated in ORS to facilitate Na* absorptionQ.